Which of the following procedures is associated with maximum chance of re-canalization during surgery for reversal of tubal ligation?
1. Isthumo- isthmic anastomosis
2. Isthumo- ampullary anastomosis
3. Ampullo-ampullary anastomosis
4. Cornual obstruction

Correct answer: 1. Isthumo- isthmic anastomosis

Explanation: When re-canalisation of tubal ligation is done, the isthumo-isthmic anastomosis has given the best results compared to the other methods of anastomosis. Ref: A. Laparoscopic tubal sterilization reversal and fertility outcomes journal - K Jayakrishnan and Sumeet N Baheti; B. Examination Obstetrics & Gynaecology by Goh & Flynn 3rd edition, Pages 44-52; C. Postgraduate Gynecology By B. Presannakumari; 1st edition, Pages 180-82